Type 2 lepra reaction is an example of -
1. Type I hypersensitivity
2. Type II hypersensitivity
3. Type III hypersensitivity
4. Type IV hypersensitivity

Correct answer: 3. Type III hypersensitivity

Explanation: TType 2 lepra reaction occurs in LL and BL types, usually a few months after the institution of chemotherapy. Crops of tender, inflamed subcutaneous nodules appear, with fever , lymphadenopathy and arthralgia. This is an arthus type response ( type III hypersensitivity reaction), to antigen released from dead lepra cells and is characterised by neutrophil infiltration and IgG and complement deposition in the lesions. Reference : Anathanarayan & paniker's 9th edition, pg no: 367